Population of a village on 1st June 2007 is 16,500. Since 1st January 2007, 22 new cases of TB were detected. Total registered cases were 220. What is the incidence of TB
1. 133 per 100,000
2. 121 per 100,000
3. 111 per 100, 000
4. 100 per 100,000

Correct answer: 1. 133 per 100,000

Explanation: Incidence of TB: Is percentage of new cases (confirmed by bacteriological examination) per 1000 population Incidence of TB = New cases/ Total population x1000. In the given question : New cases of TB are 22, and total population is 16,500 This incidence of TB = 22/16500 x1000 = 1.33 per 1000 population Or incidence of TB = 133 per 100,000 population Ref: Park 25th edition Pgno : 189-190